Jackson's triad in orthodontic treatment includes
1. Structural balance
2. Esthetics harmony
3. Functional efficiency
4. All of the above

Correct answer: 4. All of the above